Ectopia lentis in a child is seen in which of the following disease?
1. Sarcoidosis
2. Homocystinuria
3. Alkaptonuria
4. Wilson disease

Correct answer: 2. Homocystinuria